Testicular involvement without epididymitis is a feature of -
1. Gonorrhoea
2. Syphilis
3. Tuberculosis
4. Granuloma inguinale

Correct answer: 2. Syphilis

Explanation: Inflammations are distinctly more common in the epididymis than in the testis.
Of the three major specific inflammatory states, gonorrhoea and TB almost invariably arise in the epididymis, whereas syphilis affects the testis first.
In many cases of syphilitic, architis is not accompanied by epididymitis.----- Robbins 1040.
Granuloma inguinale usually affects the external genital organs (not testis or epididymis).